Paracusis willisii is associated with the following condition:
1. Meniere's disease
2. Otosclerosis
3. ASOM
4. CSOM

Correct answer: 2. Otosclerosis

Explanation: This symptom is seen in otosclerosis or otospongiosis. An otosclerotic patient hears better in noisy than quiet surroundings. This is because a normal will raise his voice in noisy surroundings. Other symptoms of otosclerosis include hearing loss, tinnitus, vertigo.